Which of the following is not seen in bronchiectasis
1. Tree in bud sign
2. Crazy pavement sign
3. Signet ring appearance
4. Traction bronchiectasis with lung fibrosis

Correct answer: 2. Crazy pavement sign

Explanation: The CRAZY PAVEMENT PATTERN is seen in pulmonary alveolar proteinosis and also can be observed in exogenous lipoid pneumonia, sarcoidosis, mucinous bronchoalveolar cell carcinoma and acute respiratory distress syndrome. Chest radiographs lack sensitivity for diagnosis of bronchiectasis, but the prsnce of TRAM TRACK LINES indicating dilated airways is seen with bronchiectasis. Chest CT is more specific for bronchiectasis and is the imaging modality of choice for confirming the diagnosis. CT findings include airway dilatation detected as parallel tram tracks or as the signet ring sign - a cross sectional area of the airway with diameter atleast 1.5 tims that of adjacent vessel. Ref Davidson edition23rd pg 578-580